Funicular hernia is type of:
1. Direct inguinal hernia
2. Indirect inguinal hernia
3. Femoral hernia
4. Umbilical hernia

Correct answer: 2. Indirect inguinal hernia

Explanation: Types of Indirect Inguinal Hernia - 1. Bubonocele - Hernia is limited to the inguinal canal 2. Funicular - Processus vaginalis is closed just above epididymis. Contents of the sac can be felt separately from testis, which lies below the hernia. 3. Complete or scrotal - Testis appears to lie within the lower part of hernia.